False regarding anterior cruciate ligament tear is?
1. Commonly occurs as a result of twisting force
2. Rarely associated with meniscal injury
3. Lachman test is highly sensitive test for tear
4. May be associated with Segond fracture

Correct answer: 2. Rarely associated with meniscal injury

Explanation: *ACL is commonly associated with medial meniscal Injury, both of which are damaged by twisting injury. *Lachman test is a sensitive test. Segond fracture may be seen on X-ray. ACL Injuries * Most MOI are non-contact rotational forces * Tibia displaced anteriorly on femur (or vice versa), rotational stress (cutting) or hyperextension * May be isolated, but typically due to MOL other structures (joint capsule, menisci) also injured * Positive anterior drawer and/or Lachman's tests Ref: Maheshwari 9th/e p.148